Most characteristic eye lesion in diabetes is
1. Papilledema
2. Proptosis
3. Capillary aneurysm
4. Cataract

Correct answer: 3. Capillary aneurysm

Explanation: Most characteristic - Capillary aneurysm.